True about Braxton-Hick's contraction are all, except:
1. Felt at 4th month
2. Painful
3. Contraction last for 1 min
4. Present even when fetus is dead

Correct answer: 2. Painful

Explanation: Ans. Painful